Most common lobe involved in congenital lobar emphysema
1. Right upper lobe
2. Right middle lobe
3. Left upper lobe
4. Left lower lobe

Correct answer: 3. Left upper lobe

Explanation: Congenital lobar emphysema present with respiratory distress. Most common lobe involved is Left upper lobe. X-ray shows shift of mediastinum to Right side.